Catlan's appliance is given for a period NOT more than 6 weeks because it
1. Causes attrition of upper anteriors
2. Causes periodontitis of anteriors
3. Causes gingival recession in lower anteriors
4. Causes over eruption of posterior teeth

Correct answer: 4. Causes over eruption of posterior teeth